The lesion of Klumpke's paralysis is in -
1. Cervical plexus
2. Lower brachial
3. Upper brachial
4. Sacral plexus

Correct answer: 2. Lower brachial